Which of the following symptom is not one among the 4 'A's of Bleuler?
1. Ambivalency
2. Auditory Hallucination
3. Autism
4. Affective Flattening

Correct answer: 2. Auditory Hallucination

Explanation: Auditory Hallucination is Pathognomic of Schizophrenia, but not one among the 4 'A's given by Eugene Bleuler.
Gave 4'A's of Schizophrenia

Autistic behaviour: is characterized by irrational thinking and withdrawn behaviour.
Ambivalence: Inability to take decision
Association loss or Derailment: There is loss of connection between individual throught process the speech of patient is disorganized.
Affect Disturbance / Affective Flattening: Emotional disturbances.